1st evidence of calcification of Primary Upper 1st molar is seen in
1. 14 wk IU
2. 16 wk IU
3. 17 wk IU
4. 15 wk IU

Correct answer: 4. 15 wk IU